Wernicke encephalopathy is due to acute dietary deficiency of:
1. Folic acid
2. Nicotinic acid
3. Thiamine
4. Pyridoxine

Correct answer: 3. Thiamine

Explanation: Wernicke's (ophthalmoparesis, ataxia, and encephalopathy) and Korsakoff's(retrograde and anterograde amnesia) syndrome is common in alcoholics due to thiamine deficiency. Pathogenesis:- Thiamine is needed for oxidative decarboxylation reactions (pyruvate dehydrogenase and a-ketoglutarate dehydrogenase) that are very important for the metabolism of glucose. Thiamine deficiency produces a diffuse decrease in cerebral glucose utilization and results in mitochondrial damage. Glutamate accumulates due to impairment of a-ketoglutarate dehydrogenase activity and, in combination with the energy deficiency,may result in excitotoxic cell damage.